Classical pathway macrophage activating molecule
1. IFN gamma
2. IL 4
3. IL 13
4. ILI

Correct answer: 1. IFN gamma

Explanation: Answer- A. IFN gammaThere are two major pathways of macrophage activation:Classical macrophage activation- induced by microbial products, which engage toll like receptors & other sensors, by T cell derived signals, importantly the cytokine IFN-yAlternative macrophage activation - induced by cytokines III & ILl3 produced by T lymphocytes & other cells. Their main function is tissue repair & secrete growth factors which cause angiogenesis, activate fibroblasts & stimulate collagen synthesis.